ACL originates from ?
1. Posterior part of intercondylar area of tibia
2. Anterior part of intercondylar area of tibia
3. Medial part of medial femoral condyle
4. Lateral part of lateral femoral condyle

Correct answer: 2. Anterior part of intercondylar area of tibia

Explanation: Ans. is 'b' i.e., Anterior part of intercondylar area of tibia Anterior cruciate ligament (ACL)ACL is one of the most important ligament of the knee joint.ACL begins from anterior part of intercondylar area of tibia just behind the anterior horn of medial meniscus and runs upwards, backwards & laterally to attach the posterior part of medial surface of lateral condyle of femur.ACL is intrasynovial i.e., it lies inside the synovium.ACL also provides proprioceptive function of knee joint.ACL is taut during extension.